Griesofulvin is not useful in one of the following
1. Tinea capitis
2. Tinea Cruris
3. Tinea versicolor
4. Tinea pedis

Correct answer: 3. Tinea versicolor

Explanation: Refer CMDT 2010/110 *griesofulvin is used for dermatophytoses including Tinea capitis, Tinea cruris, Tinea pedis, Tinea ungunum and Tinea corporis *Tinea versicolor is caused by yeast Malassezia furfur .it is treated by selenium sulfide AMD ketaconazole shampoo